Longest acting muscle relaxant is?
1. Atracurium
2. Vecuronium
3. Doxacurium
4. Rocuronium

Correct answer: 3. Doxacurium

Explanation: Ans. is 'c' i.e., Doxacurium Amongst the given options doxacurium is longest acting (Duration of action 90-120 minutes). Rocuronium (duration of action 30-60 minutes), Atracurium (duration of action 30-60 minutes) and vecuronium (duration of action 60-90 minutes) have shorter duration of action than doxacurium.